Cephalic index is for determination of ?
1. Sex
2. Race
3. Height
4. Weight

Correct answer: 2. Race

Explanation: Ans. is 'b' i.e., Race